Dose of streptokinase for fibrinolysis in MI
1. 0.5 million units
2. 1.0 million units
3. 1.5 million units
4. 2.0 million units

Correct answer: 3. 1.5 million units

Explanation: Streptokinase is administered as 1.5 million units (MU) intravenously over 1 h. The current recommended regimen of tPA consists of a 15-mg bolus followed by 50 mg intravenously over the first 30 min, followed by 35 mg over the next 60 min. rPA is administered in a double-bolus regimen consisting of a 10-MU bolus given over 2-3 min, followed by a second 10-MU bolus 30 min later.TNK is given as a single weight-based intravenous bolus of 0.53 mg/kg over 10 s.Ref: Harrison 19e pg: 1605